Most common viral disease affecting parotid glands-
1. Mumps
2. Measles
3. Rubella
4. Varicella

Correct answer: 1. Mumps